Least potent topical steroid
1. Clobetasol propionate 0.5%
2. Betamethasone dipropionate 0.05%
3. Halobetasol propionate 0.05%
4. Hydrocortisone 1%

Correct answer: 4. Hydrocortisone 1%

Explanation: Least potent corticosteroids hydrocortisone 1% desonide 0.05% cortisone 25% Fitzpatrick textbook of dermatology page 3363